Nutrition for ameloblasts after 1st layer of enamel is laid is
1. Dental sac
2. Odontoblastic process
3. REE
4. Dental papilla

Correct answer: 1. Dental sac